Maximum amount of smooth muscle, in relation to wall thickness, is present in:
1. Trachea
2. Bronchi
3. Terminal bronchioles
4. Respiratory bronchioles

Correct answer: 3. Terminal bronchioles

Explanation: The trachea and upper respiratory passages (first 7 generations) have cartilage & glands in their walls but little smooth muscle. They are lined by ciliated epithelium. Intermediate-sized and small-sized bronchi and bronchioles do not contain cartilage. Cilia are present till respiratory bronchioles Terminal bronchioles have maximum amount of smooth muscle.